Popcorn calcification in mammography is seen in -
1. Fibroadenoma
2. Fat necrosis
3. Cystosarcoma phylloides
4. Ca Breast

Correct answer: 1. Fibroadenoma

Explanation: "Large lobulated (popcorn) calcification have a characteristic mammographic appearance" - Robbins
Fibroadenomas are the most common benign tumors of breast.